When restoring a tooth with resin material, acid etching can do all of the following except
1. Increase the surface area
2. Permit chemical bonding between resin and enamel
3. Create surface irregularities in enamel for better mechanical retention of resin
4. Condition the tooth surface for better wetting

Correct answer: 2. Permit chemical bonding between resin and enamel